All are caused by inhalation of inorganic particles except:
1. Silicosis
2. Asbestosis
3. Pneumoconiosis
4. Tuberculosis

Correct answer: 4. Tuberculosis

Explanation: Ans: D (tuberculosis) Ref: Robbins, 7 ed, Table 15-6Friends, this is a direct pick form Robbins table 15-6. Please go through it, it's extremely important.Lung Diseases Caused by Air PollutantsAgentDiseaseExposureMineral Dusts Coal dustAnthracosisCoal mining (particularly hard coal) Macules Progressive massive fibrosis Caplan syndrome SilicaSilicosisFoundry- work, sandblasting, hardrock mining, stone cutting, others Caplan syndrome AsbestosAsbestosisMining milling, and fabrication: installation and removal of insulation Pleural plaques Caplan syndrome Mesothelioma Carcinoma of the lung, larynx, stomach, colon BerylliumAcute berylliosisMining, fabrication Beryllium granulomatosis Bronchogenic carcinoma (?) Iron oxideSiderosisWeldingBarium sulfateBantosisMiningTin oxideStannosisMining